Which of the following drugs can be used for ADHD in a 9-year-old boy with no medical conditions?
1. Methylphenidate
2. Dexamphetamine
3. Clonidine
4. All of the above

Correct answer: 4. All of the above

Explanation: Methylphenidate is the drug of choice for ADHD in children. Dexamphetamine is a similar stimulant drug which is can be used as a second choice. Atomoxetine is also used as a second line drug for ADHD in children. Clonidine has anti-ADHD effects and is ideal if there are side effects from other drugs. E.g. Hypertension. Venalafaxine and Buproprion has similar anti-ADHD effects and can have a role in adults with ADHD. Ref: Kaplan & Sadock's Synopsis of Psychiatry, By Benjamin J Sadock, M.D., Harold I. Kaplan, Virginia A Sadock, M.D, 10th Edition, Page 1212 ; MTA Study on Stimulants, USA.